All of the following inhibits gastric secretion except
1. Low PH
2. Somatostatin
3. Histamine
4. Prostagladin

Correct answer: 3. Histamine

Explanation: Low pH, somatostatin, prostagladin inhibits gastric secretion. Histamime stimulates gastric secretion.